HIAA is a metabolite of -
1. Serotonin
2. Dopamine
3. Epinephrine
4. Histamine

Correct answer: 1. Serotonin